Ivermectin in indicated in the treatment of :
1. Syphilis
2. Scabies
3. Tuberculosis
4. Dermatophytosis

Correct answer: 2. Scabies

Explanation: B i.e. Scabies